Injury to the nerve which passes superior to piriformis and winds around greater sciatic notch, most likely affected which muscle
1. Gluteus medius
2. Gluteus maximus
3. Obturator internus
4. Piriformis

Correct answer: 1. Gluteus medius

Explanation: Structures passing above the pyriformis:-Superior gluteal nerve and vessels.It winds around greater sciatic notch.SUPERIOR GLUTEAL NERVE Root value: L4,L5,S1Course: enters the gluteal region through greater sciatic notch above pyriformis muscle. Runs between gluteus medius and gluteus minimus to end in tensor fascia lata.Branches :-it supplies 1. Gluteus medius 2. Gluteus minimus3. Tensor fascia lata {Reference: BDC 6E pg no. 173}